Thymus gland abscess seen in congenital syphilis is called -
1. Fouchier's abscess
2. Politzeri abscess
3. Douglas abscess
4. Dubois abscess

Correct answer: 4. Dubois abscess

Explanation: • An abscess of the thymus associated with congenital syphilis
• It can present with chest pain behind the sternum.